Cysteine is abundantly found in-
1. Keratin
2. Chondritin sulphate
3. Creatine
4. Spermine

Correct answer: 1. Keratin

Explanation: The more the disulfide bond harder the keratin is.- Cysteine contributes to the disulfide bond.